Manufacturer of the drug labels the drug as 500mg of paracetamol. But on analysis, it was found to contain only 200mg of paracetamol. Which type of drug is this?
1. Spurious drug
2. Adultrated drug
3. Unethical drug
4. Misbranded drug

Correct answer: 4. Misbranded drug

Explanation: Spurious drug - Some second hand company mimics the name of drug which is made by some reputed company. Adulterated drug - Something unhealthy is added to active compound of drug Misbranded drug - Something wrong is written on the label of the drug .eg- concentration written is less as compared to original